Pertussis vaccine side effect
1. Local pain
2. Excessive cry
3. Fever
4. All of above

Correct answer: 4. All of above

Explanation: Ans. is 'd' i.e., All of the above Pertussis vaccine Available as whole cell and acellular as DTPw and DTPa Primary immunisation at 6, 10, 14 weeks followed by booster dose 1'/2 year and 5 year. Whole cell causes more side effect than acellular Side effect-local pain, redness, fever, irritability, excessive cry because of cortical irritation. Contraindication Progressive neurological disease (Relative) Immediate anaphylasix Encephalopathy Persistent Inconsable cry Hypotensive - hyporesponsive episode